Leprosy do not involve:
1. CNS
2. Testis
3. Skin
4. Cornea

Correct answer: 1. CNS

Explanation: A i.e. CNS